Leptospira canicola infection usually present as?
1. Aseptic meningitis
2. Jaundice
3. Diarrhoea and vomiting
4. Lobar pneumonia

Correct answer: 1. Aseptic meningitis

Explanation: Ans. is 'a' i.e., Aseptic meningitis . L. cancicola causes Canicola fever which presents either influenza like illness or aspectic meningitis.